Which of the following is NOT a contraindication for insertion of IUCD?
1. PID
2. Presence of fibroids
3. Suspected pregnancy
4. Cervical discharge minimal

Correct answer: 4. Cervical discharge minimal

Explanation: Contraindications for placing IUCD are: Suspected pregnancy PID Presence of fibroids Menorrhagia and dysmenorrhoea of copper T is used. Severe anemia Diabetic women who are not well controlled. Heart disease Scarred uterus Previous ectopic pregnancy Levonorgestrel IUCD in breast cancer Preferably avoid its use in unmarried nulliparous patient because of the risk of PID. Ref: Shaw's Textbook of Gynaecology, 13th Ed page 147, 14th Ed page 223